Which of the following should be considered as the cause of generalized convulsions 20 minutes postoperatively ?
1. Halothane
2. Enflurane
3. Isoflurane
4. Sevoflurane

Correct answer: 2. Enflurane

Explanation: Enflurane is known to produce seizures.